Most common frequency of Tuning fork used in ENT
1. 256 Hz
2. 512 Hz
3. 1024 Hz
4. 2048 Hz

Correct answer: 2. 512 Hz

Explanation: Tuning fork test can be performed using tuning fork of different frequencies such as:
. • MC used/ ideal for routine clinical practice is of 512 Hz.
• Tuning fork of lower frequencies produce sense of bone vibration while those of higher frequencies have a shorter decay time and are thus not routinely preferred.
• Tests done with tuning fork:
■ Rinne’s test
■ Weber's test
■ Absolute bone conduction (ABC) test
■ Bing test
■ Gelle’s test
■ Lewis test